What is the most common problem following surgical treament of pterygium?
1. Recurrence
2. Corneal ulceration
3. Astigmatism
4. Scleral scarring

Correct answer: 1. Recurrence

Explanation: Recurrence of the pterygium after surgical excision is the most comon problem after pterigium excision and is seen in 30-50 % of the cases. Reference : AK Khurana 7th edition page.89